All of the following statements about Leptospirosis are true, except:
1. Infection acquired by direct contact with infected urine
2. Mortality is 5-15% in severe cases
3. Antibodies are usually detectable in the first week
4. IV penicillin is recommended for treatment of severe cases

Correct answer: 3. Antibodies are usually detectable in the first week

Explanation: Antibodies are usually detectable from 12th day of disease and peaks level is seen by the 3rd week. Low titres will be present for years. Ref: Kliegman, Behrman, Jenson, Stanton (2008), "Nelson textbook of Pediatrics", Chapter 217, "Leptospira", Volume 1, Page 1272; Textbook of Microbiology by Ananthnarayan, 7th Edition, Page 392; Park's Social and Preventive Medicine , 20th Edition, Page 7255; Harrison's Principles of Internal Medicine, 17th Edition, Pages 1050-51